False about delusional disorder
1. Delusion is a disorder of thought content
2. Patient has a false belief
3. Delusion of persecution is the most common
4. Hallucination is present

Correct answer: 4. Hallucination is present

Explanation: Delusional disorders are characterized by development of single or set of delusions and absence of hallucination, illusion and disorganised behaviour.